Drug of choice for bipolar syndrome:
1. Lithium
2. Imipramine
3. Phenytoin
4. Clozapine

Correct answer: 1. Lithium

Explanation: Ans. A. LithiumLithium is mood stabilizer which is drug of choice for bipolar syndrome. It has narrow therapeutic index. (8-1.2ng/dl). It is known to cause tremor, nephrotoxicity, hypothyroidism and Ebstein anomaly. Other drugs like SSRI, valproate, carbamazepine, lamotrigine can also be given in bipolar disease.